All the following mycobacteria produces pigment except:
1. M. kansasii
2. M. simiae
3. M. Avium
4. M. scrofulaceum

Correct answer: 3. M. Avium

Explanation: Runyon Classification-